Griffith typing is done for -
1. Staphylococcus
2. Streptococcus
3. Meningococcus
4. Gonococcus

Correct answer: 2. Streptococcus

Explanation: Ans. is 'b' i.e., Streptococcus Classification of streptococcio On the bases of O2 requirement streptococci are divided into two groups# Aerobes and facultative anaerobes (conventionaly called streptococci).# Obligate anaerobes (peptostreptococci).o On the bases of hemolysis, aerobes and facultative anaerobes (streptococci) are further divided into- 1. Alpha hemolytic- Viridans group2. Beta hemolytic- Hemolytic streptococci3. Gamma- Enterococcus groupo Hemolytic streptococci were classified by lancefield serological classification into groups based on nature of 'C' carbohydrate antigen on the cell wall. These are known as Lancefield groups, twenty of which have been identified so far and named A to V (without I and J).o Majority of human infections are caused by group 'A9 streptococci Le.f streptococcus pyogenes.o Group 'A' strep, are further subdivided into types based on the protein (M, T and R) antigens present on the cell surface (Griffith typing). About 80 types of str. pyogenes have been recognized.Streptococci |O2 requirement| |Aerobes and facultative anaerobesObligate anaerobesPeptostreptococci| Hemolysis|| | |1. Alpha(The viridans group)2. Beta(The hemolytic streptococci)3. Gamma(The enterococcus group) Serological||Group specific carbohydrate antigen 20 lancefield Groups (ABCDEFGHKLMNOPQRSTUV) Group A - Streptococcus pyogenes | Serological typing (M protein)Griffith types (1,2, 3, etc.)